Best X-ray for mesiodens is
1. Occlusal
2. PA view
3. Panorex
4. Bitewing

Correct answer: 1. Occlusal